A patient presenting with painful Myositis Ossificans around Elbow. What should be the preferred treatment option in this case?
1. Active mobilization
2. Passive mobilization
3. Infra-Red Therapy
4. Immobilization

Correct answer: 4. Immobilization

Explanation: Ans. D. Immobilization* Treatment of myositis ossificans (MO): when MO is active, immobilization is the best treatment & any attempt at removal of the mass is hazardous.* When silent and ALP/ESR levels are normal, it can safely be removed (generally after 1.5 years) if causing block in movements.* Indomethacin/low dose radiation/bisphosphonates can be given prophylactically in high risk patients to prevent MO formation.